Bachleor plaster for children used for
1. Perthes disease
2. DDH
3. SCFE
4. Synovitis Hip

Correct answer: 2. DDH